Vasodilatation secondary to trauma is mediated by?
1. Histamine
2. IL-2
3. TGF-b
4. FGF

Correct answer: 1. Histamine

Explanation: Ans. is 'a' i.e., Histamine o Principle mediators of vasodilatation in acute inflammation are Histamine, prostaglandins (PGD2, PGE2), prostacyclins, serotonin, Nitric oxide, bradykinin.